Which amino acid residues gets carboxylated by vitamin K during post translational modification
1. Aspartate
2. Glutamate
3. Oxaloacetate
4. Lysine

Correct answer: 2. Glutamate

Explanation: Vitamin K is required for the post translational gamma carboxylation of glutamic acid residues of clotting factors.